An 8-month-old infant had stridor with respiratory difficulty which worsened on crying. On examination, laryngoscopy showed a red mass in the subglottic area. All the following are used in the treatment EXCEPT
1. CO 2 laser vaporization
2. Corticosteroids
3. Tracheostomy
4. Radiotherapy

Correct answer: 4. Radiotherapy

Explanation: History and examination suggest diagnosis is juvenile papilloma - They are viral in origin and multiple, often involving infants and young children. * They are mostly seen on the true and false cords and the epiglottis, glistening white, irregular growth, pedunculated * Or sessile, friable and bleeding easily